The advantage of bladder drainage over enteric drainage after pancreatic transplantation is better monitoring of:
1. HBA1C levels
2. Amylase levels
3. Glucose levels
4. Electrolyte levels

Correct answer: 2. Amylase levels

Explanation: Ans. (b) Amylase levelsRef: Sabiston 19th edition, Pages 675-679* Amylase is measured easily in urine in bladder drainage* When urinary amylase decreases it's time to check for graft failure by taking biopsy* Similar amylase testing is difficult in Intestine drainage.